Which is not a feature of pancreatic ascites -
1. Low protein
2. Somatostatin is the drug of choice
3. Communication with pancreatic duct in 80%
4. Raised amylase levels

Correct answer: 1. Low protein

Explanation: Pancreatic ascites occurs from a pancreatic duct disruption or from a leaking pseudocyst.
High amylase levels are found in the ascitic fluid.
Initial treatment: Non-operative (elimination of enteral feeding, institution of nasogastric drainage, and administration of somatostatin).
Repeat paracentesis may also be helpful.
Roughly 50% to 60% of patients can be expected to respond to this treatment with resolution of pancreatic ascites within 2 to 3 weeks.

Persistent or recurrent ascites: endoscopic or surgical treatment

Endoscopic pancreatic sphincterotomy with or without placement of a transpapillary pancreatic duct stent.
Resection (for leaks in the pancreatic tail) or internal Roux-en-Y drainage (for leaks in the head and neck region).